The raphe nuclei located in lower pons and medulla secrete the following neurotransmitter
1. Norepinphrine
2. Dopamine
3. Serotonin
4. Acetycholine

Correct answer: 3. Serotonin

Explanation: Serotonin is also found within the brain stem in the midline raphe nuclei which project to portions of hypothalamus, limbic system, neocortex, cerebellum and spinal cord. Ref: Ganong's review of medical physiology; 23rd edition; pg: 136